Least common symptoms in Friedrich's ataxia is
1. Moderate intellectual disability
2. Scoliosis
3. Cardiac abnormality
4. Diabetes mellitus

Correct answer: 1. Moderate intellectual disability

Explanation: (A) Moderate intellectual disability # Neurologic examination reveals nystagmus, loss of fast saccadiceye movements, truncal titubation, dysarthria, dysmetria, and ataxia of trunk and limb movements. Extensor plantar responses (with normal tone in trunk and extremities), absence of deep tendon reflexes, and weakness (greater distallythan proximally) are usually found. Loss of vibratoryand proprioceptive sensation occurs.> Median age of death is 35 years. Women have a significantly better prognosis than men. Cardiac involvement occurs in 90% of patients. Cardiomegaly, symmetric hypertrophy, murmurs, and conduction defects are reported. Moderate intellectual disability or psychiatric syndromes arepresent in a small percentage of patients.> High incidence of diabetes mellitus (20%) is found and is associated with insulin resistance and pancreatic -cell dysfunction. Musculoskeletal deformities are common and include pes cavus, pes equinovarus, and scoliosis. MRI of the spinal cord shows atrophy